True statement about Rheumatic fever in childrena) Polyarthritisb) Caused by α hemolytic streptococcic) Most common valve involvement is Mitrald) Erythema marginatum is common in face
1. bc
2. cd
3. ac
4. ab

Correct answer: 3. ac